Which is not a part of paranasal sinus?
1. frontal
2. Ethmoid
3. Sphenoid
4. Pyriform

Correct answer: 4. Pyriform

Explanation: Paranasal sinuses are air containing cavities in certain bones of skull. They are four on each side. Clinically,paranasal sinuses have bern divided into Anterior-Maxillary,Frontal, Anterior ethmoidal. posterir-Posterior ethmoid,sphenoid sinus. Ref Dhingra 6/e,p 187.